Lubiprostone is ?
1. New anticholinergic antidiarrhoeal
2. Serotonin agonist
3. New drug to treat peptic ulcer
4. To treat irritable bowel syndrome

Correct answer: 4. To treat irritable bowel syndrome

Explanation: Ans. is 'd' i.e., To treat irritable bowel syndrome Lubiprostone is a PG analogue (EP4 receptor agonist), developed recently, represents a new strategy in the treatment of constipating-predominant IBS and chronic constipation. It acts by ? Stimulating CI- channel opening in the intestine. Increasing liquid secretion in gut. Decreasing transit time.